Fructose is absorbed by:
1. Simple diffusion
2. Facilitated diffusion
3. Cotransport
4. Svmport

Correct answer: 2. Facilitated diffusion

Explanation: Ans: B (Facilitated diffusion) Ref: Textbook of Biochemistry for Medical Students by DM Vasudevan,6th edition,Chapter 9,pp-91.Explanation:The GLUT 5 Na+-independent facilitative transporter allows fructose, as well as glucose and galactose, to be transported down their concentration gradientsExit from the cell for all sugars is via the GLUT 2 facilitative transporter.